Antenatal screening test done in the maternal serum is _______
1. Percutaneous unbilical blood sampling
2. Cell-free fetal DNA testing
3. Chorionic villus sampling
4. Amniocentesis

Correct answer: 2. Cell-free fetal DNA testing

Explanation: Antenatal screening test done in the maternal serum is cell-free fetal DNA testing, which is a non-invasive prenatal screening. This test is done using the freely circulating fetal cells in the maternal serum. It is useful for karyotyping and for detecting single gene disorders. Invasive procedures for prenatal diagnosis Chorionic villous sampling (CVS) Amniocentesis Cordocentesis or percutaneous umbilical blood sampling (PUBS) Ref: Nelson textbook of pediatrics 21st edition Pgno: 969